Commonest complication of Zenker's diverticulum is:
1. Dysphonia
2. Gastroesophageal reflux
3. Lung abscess
4. Perforation

Correct answer: 3. Lung abscess

Explanation: Answer is C (Lung Abscess) The most frequent complications of Zenker diverticulum is `aspiration' into the tracheobronchial tree which can in turn present with pneumonia and Lung Abscess.